In children diahorrhea "infantile" diahorrea is most commonly due to:
1. Adeno virus
2. Rota virus
3. Reo virus
4. HPV

Correct answer: 2. Rota virus

Explanation: Rota virus